Precision attachments are given in?
1. Distal extension denture base
2. For extra retention
3. Abutment teeth with large pulp chambers
4. Edentulous area with periodontally stable teeth anteriorly and posteriorly

Correct answer: 4. Edentulous area with periodontally stable teeth anteriorly and posteriorly